Chemoprophylaxis is not required in?
1. Typhoid
2. Meningococcal meningitis
3. Bacterial conjunctivitis
4. Malaria

Correct answer: 1. Typhoid

Explanation: Ans. is 'a' i.e., Typhoid